All of these are seen in hemolytic anemia  except
1. Yellowing of eyes and sclera
2. Increased LDH
3. Decrease in hepatoglobin
4. Low reticulocyte count

Correct answer: 4. Low reticulocyte count

Explanation: Haemolytic anaemia is characterised by the increased reticulocyte count, splenomegaly (especially extravascular heamolysis) and increased concentration of bilurubin and Urobilinogen.